Parathyroid gland develops from?
1. Brachial cyst
2. Brachial cleft
3. Brachial pouch
4. Brachial arch

Correct answer: 3. Brachial pouch

Explanation: ANSWER: (C) Brachial pouchREF: Langmans medical embryology 9th edition page 384-385See APPENDIX-6 below for "BRACHIAL ARCHES""Inferior parathyroid develops from 3rd brachial pouch while superior parathyroid develops from 4th brachial pouch" APPENDIX - 6Brachial ArchesThere are six pharyngeal arches, but in humans the fifth arch only exists transiently during embryologic growth and development. Since no human structures result from the fifth arch, the arches in humans are I, II, III, IV, and VI. The first three contribute to structures above the larynx, while the last two contribute to the larynx and tracheaPharyngealArchMuscularContributionsSkeletal ContributionsNerveArteryCorresponding Pouch Structures1st(mandibulararch)Muscles of mastication, Anterior belly of the digastric, Mylohyoid, Tensor tympani, Tensor veli palatiniMaxilla, mandible (only as a model for mandible not actual formation of mandible), Incus and Malleus, Meckel's cartilage, Ant. ligament of malleus, Sphenomandibular ligamentTrigeminal nerve (V2 and V3)Maxillary artery, external carotid arteryEustachian tube, middle ear, mastoid antrum, and inner layer of the tympanic membrane.2nd (hyoid arch)Muscles of facial expression. Buccinator, Platysma, Stapedius, Stylohyoid, Posterior belly of the digastricStapes, Styloid process, hyoid (lesser horn and upper part of body), Reichert's cartilage, Stylohyoid ligamentFacial nerve (VII)StapedialArterymiddle ear, palatine tonsils3rdStylopharyngeusHyoid (greater horn and lower part of body), thymusGlossopharyngeal nerve (IX)Commoncarotid/InternalcarotidInferiorparathyroid,Thymus4thCricothyroid muscle, all intrinsic muscles of soft palate including levator veli palatiniThyroid cartilage, epiglottic cartilageVagus nerve (X) Superior laryngeal nerveRight 4th aortic arch: subclavian artery Left 4th aortic arch: aortic archSuperior parathyroid, ultimobranchial body (which forms the Para follicular C-Cells of thyroid gland)6thAll intrinsic muscles of larynx except the cricothyroid muscleCricoid cartilage, arytenoid cartilages, corniculate cartilageVagus nerve (X) Recurrent laryngeal nerveRight 6th aortic arch: pulmonary artery Left 6th aortic arch: Pulmonary artery and ductus arteriosusRudimentary structure, becomes part of the fourth pouch contributing to thyroid C-celts. See APPENDIX-2 below for ''Types of cartilage""Pinna or auricle is formed of elastic cartilage not fibrocartilage" APPENDIX - 2Types of Cartilages Hyaline CartilageElastic CartilageFibrocatilageCompositionType II collagenChondroitin sulfateType II collagenElastin fibersType I collagenPerichondriumPresentPresentAbsent Articular cartilageArytenoid cartilageThyroid cartilageCricoid cartilageEpiphyseal growth plateNasal septumCostal cartilage of ribsAuricleAuditory tubeEpiglottisCuneiform cartilage of larynxEpiglottisExternal auditory canalArticular discsIntervertebral discsMenisciPubic symphysisGlenoid labrumAcetabular labrum